Best investigation for ureteric stones is -
1. USG
2. CT
3. X-ray KUB
4. IVP

Correct answer: 2. CT

Explanation: Ans. is 'b' i.e., CT "Helical CT without oral or intravenous contrast is the preferred imaging modality for patients with renal colic or suspected urolithiasis" -- Smith's Urology